Pyridoxine hypervitaminosis causes -
1. Polyneuropathy
2. Hypercalcemia
3. Liver damage
4. Renal failure

Correct answer: 1. Polyneuropathy

Explanation: Causes sensory polyneuropathy when pyridoxine is taken for several months Ref Harrison 20th edition pg 78